Endodermal sinus tumour is characterized by ?
1. Schiller-Duval body
2. Psammoma body
3. Call-Exner bodies
4. Homer-Wright rosettes

Correct answer: 1. Schiller-Duval body

Explanation: Ans. is 'a' i.e., Schiller-Duval body